A health guide works at:
1. Each village level
2. Sub center level
3. PHC level
4. CHC level

Correct answer: 1. Each village level

Explanation: Ans. A: Each village level 296. A village health guide is not an employee of the government. Health guide is a person who wants to do social service at his or her spare time in small communities. They receive a very small amount of money from government as a token salary (called honorarium). Health guide is chosen by the community as a link between community and the government health care system. Government trains the health guide and provides with necessary information for the treatment and small kit of medicines. Duties of the health guide are - Treatment of simple ailments. Giving first-aid. To provide information on sanitation, mother and child health care. Small family norms.